Perioral pigmentation and Dennie-Morgan sign are seen in the following condition:
1. Atopic dermatitis
2. Chronic actinic dermatitis
3. Blood dyscrasia
4. Perioral contact dermatitis

Correct answer: 1. Atopic dermatitis

Explanation: Skin lesions in chronic atopic Dermatitis: Lichenification (thickening of the skin with accentuation of skin markings): results from repeated rubbing or scratching Follicular lichenification (especially in brown and black persons) Fissures: painful, especially in flexures, on palms, fingers, and soles Alopecia: lateral one-third of the eyebrows as a result of rubbing Periorbital pigmentation: also as a result of compulsive rubbing Characteristic infraorbital fold below eyelids (Dennie-Morgan sign) Ref: Suurmond D. (2009). Section 2. Eczema/Dermatitis. In D. Suurmond (Ed), Fitzpatrick's Color Atlas & Synopsis of Clinical Dermatology, 6e.